In a population of 5000, incidence of disease is 100 in 1 year duration of disease studied for is 2 years calculate Prevalance -
1. 20/1000
2. 40/1000
3. 80/1000
4. 400/1000

Correct answer: 2. 40/1000

Explanation: Ans. is 'b' i.e., 40/1000